Jarisch-Herxheimer reaction is caused by all except-
1. Syphilis
2. Brucellosis
3. Typhoid Fever
4. Legionellosis

Correct answer: 4. Legionellosis

Explanation: Jarish herxheimer reaction:-Febrile reaction with chills, fever,arthralgia,headache and transient urticaria after treatment for syphilis with antibiotics.This is due to lysis and release of treponemal components in blood.Subsides in few hours.Relieved by aspirin Also seen in brucellosis and typhoid. {Reference: IADVL textbook of dermatology,page 1386